True about juvenile mycoclonic epilepsy -a) Focal seizureb) Generalised seizurec) Myoclonusd) Responses to Sodium Valproatee) Spike and waves in EEG
1. abcd
2. bcde
3. abde
4. acde

Correct answer: 2. bcde